A tooth which is impacted mesioangularly, in class2, position C has a difficulty index of:
1. 2
2. 8
3. 5
4. 6

Correct answer: 4. 6